Condyloma acuminatum is caused by -
1. HSV
2. HPV
3. HIV
4. VZV

Correct answer: 2. HPV

Explanation: cindyloma accuminata is due to HPV 6&11 REF:MICROBIOLOGY ANANTHA NARAYANAN NINTH EDITION PAGE.553